Earliest symptom of acute mountain sickness is
1. Blurring of vision
2. Fever
3. Nausea and vomiting
4. Headache

Correct answer: 4. Headache

Explanation: The low partial pressure of oxygen at high altitude causes arteriolar dilatation and if cerebral autoregulation does not compensate, there is an increase in capillary pressure that favors increased transudation of fluid into brain tissue.Ref: Ganong's Review of Medical Physiology Kim E Barrett, Susan M Barman, Scott Boitano, Heddwen L Brooks 23rd edition page no - 619